All of the following are DNA oncogenic virus except -
1. EBV
2. HBV
3. Adult T cell leukemia / Lymphoma virus
4. Kaposi sarcoma virus

Correct answer: 3. Adult T cell leukemia / Lymphoma virus

Explanation: Adult T cell leukemia is a RNA oncogenic virus, rest all others are DNA oncogenic viruses. ONCOGNIC VIRUSES ASSOCIATED WITH HUMAN NEOPLASIA DNA Viruses Papovaviridae Human papilloma virus Genital tumors, squamous cell carcinoma Herpesviridae Epstein-Barr virus Nasopharyngeal carcinoma Burkitt's lymphoma B cells lymphoma Hodgkin's disease HHV 8 Kaposi's Sarcoma Hepadnaviridae HBV Hepatocellular carcinoma Poxviridae Molluscipoxvirus Molluscum contagiosum RNA viruses Retroviridae HTLV1 Adult T cell leukemia HIV AIDS-related malignancies Flaviviridae HCV Hepatocellular carcinoma